A patient of type 2 diabetes mellitus is given nutrition rich in
1. Proteins
2. Carbohydrates
3. Fat
4. Fibre rich diet

Correct answer: 4. Fibre rich diet